Rice is deficient in which amino acid ?
1. Serine
2. Threonine
3. Methonine
4. Cystone

Correct answer: 2. Threonine

Explanation: Ans. is 'B' i.e., Threonine Cereals (wheat & rice) are deficient in lysine threonine. But in comparison to other cereals protein (e.g wheat) rice protein contains more lysine (though in lesser amounts) - thus rice proteins is considered to be better quality among cereals.